The vitamin K dependent protein C and S are characterised by their ability to inactivate factor:
1. 8a and 5a
2. 7a and 5b
3. 3a and 3b
4. All of the above

Correct answer: 1. 8a and 5a

Explanation: Sequence of Events Involved in the Activation of Plasminogen

During intravascular clotting, the endothelium of the blood vessel secretes a thrombin-binding protein, the thrombomodulin. It is secreted by the endothelium of all the blood vessels, except the minute vessels of brain.
Thrombomodulin combines with thrombin and forms a thrombomodulin-thrombin complex.
Thrombomodulin-thrombin  complex  activates protein C.
Activated protein C inactivates factor V and VIII in the presence of a cofactor called protein S.
Protein C also inactivates the t-PA inhibitor.
Now, the t-PA becomes active.
Activated t-PA and lysosomal enzymes activate plasminogen to form plasmin. Plasminogen is also activated by thrombin and u-PA.